Sparrow marks are seen in?
1. Gunshot injuries
2. Stab injury of face
3. Vitriolage
4. Windshield glass injury

Correct answer: 4. Windshield glass injury

Explanation: D i.e. Windshield glass injury Bizarre shaped multiple lacerations on face from contact of shatterd windscreen glassQ of vehicle are known as sparrow foot (patterned) marks.